M/C ovarian tumor in a 15-year-old female:
1. Sex cord tumor
2. Metastatic tumor
3. Germ cell tumor
4. Epithelial tumor

Correct answer: 3. Germ cell tumor

Explanation: Ans. is c, i.e. Germ cell Tumor.Ref: Williams Gynae 3rd/ed, p761"GCT- These tumors are the most common ovarian malignancy diagnosed during childhood and adolescence, although only 1% of all ovarian cancers develop in these age groups. At age 20, however, the incidence of epithelial ovarian cancer begins to rise & exceeds that of germ cell tumors." - Ref Williams Gynae 3rd/ed, p761